Soft exudates are found in -
1. DM
2. HTN
3. Toxemia
4. All of the above

Correct answer: 4. All of the above

Explanation: causes of soft exudates on the retina:  Hypertensive retinopathy  Retinopathy of toxaemia of pregnancy  Diabetic retinopathy  Anaemic retinopathy  LE, PAN and scleroderma  Leukaemic retinopathy  Retinopathy of AIDS Ref : comprehensive ophthalmology AK Khurana 4th edition pageno: 494